All of the following are Eagleton’s criteria for diagnosing the cavernus sinus thrombosis
1. Unknown site of infection
2. Ocular nerve paralysis
3. Early obstructive signs such as retinal vein and exophthalmus
4. Soft tissue abscesses

Correct answer: 1. Unknown site of infection

Explanation: Eagleton criteria for diagnosis of cavernous sinus thrombosis are:
→ Known site of infection.
→ Ocular nerve paralysis (via lesions of cranial nerves, III, IV, V, VI).
→ Early obstructive signs (such as retinal vein fullness, proptosis, exophthalmos and collateral venous circulation).
→ Surrounding soft tissues abscesses (Of the orbit, occiput, neck or nasopharynx).
→ And symptoms of a complicated disease (Such as headache, papilledema, and meningeal signs)